Incubation period of plasmodium vivax is:
1. 5 - 7 days
2. 7 - 10 days
3. 10 - 14 days
4. 15 - 30 days

Correct answer: 3. 10 - 14 days

Explanation: 10 - 14 days